Child with erythematous non-blanching bosselated lesion on right side of face, Treatment is
1. Nd-YAG laser
2. Erbium laser
3. Q ruby laser
4. Flash light pumped dye laser

Correct answer: 4. Flash light pumped dye laser

Explanation: A dye laser is a laser which uses an organic dye as the lasing medium, usually as a liquid solution. Compared to gases and most solid state lasing media, a dye can usually be used for a much wider range of wavelengths, often spanning 50 to 100 nanometers or more. The wide bandwidth makes them particularly suitable for tunable lasers and pulsed lasers. The dye rhodamine 6G, for example, can be tuned from 635 nm (orangish-red) to 560 nm (greenish-yellow), and produce pulses as short as 16 femtoseconds.Moreover, the dye can be replaced by another type in order to generate an even broader range of wavelengths with the same laser, from the near-infrared to the near-ultraviolet, although this usually requires replacing other optical components in the laser as well, such as dielectric mirrors or pump lasers. uses: In laser medicine these lasers are applied in several areas, including dermatology where they are used to make skin tone more even. The wide range of wavelengths possible allows very close matching to the absorption lines of certain tissues, such as melanin or hemoglobin, while the narrow bandwidth obtainable helps reduce the possibility of damage to the surrounding tissue. They are used to treat port-wine stains and other blood vessel disorders, scars and kidney stones. They can be matched to a variety of inks for tattoo removal, as well as a number of other applications Ref Harrison20th edition pg 1329